True regarding mind theory is A/E -a) Id is reservoir of instincts & drivesb) Ego is excutive organ of idc) Superego predominantly consciously offers approval & disapprovald) Conscious is common component of id, ego & super egoe) Id works on pleasure principle
1. ab
2. bc
3. bd
4. cd

Correct answer: 4. cd

Explanation: The id is the aspect of personality which is entirely unconscious and includes the instinctive and primitive reflexive behavior.
The Ego ensures that the impulses of the id can be expressed in a manner acceptable in the real world.


The id → entirely unconscious
The Ego → conscious, preconscious, unconscious
The super ego → largely unconscious